Hemolytic Uremic Syndrome is characterized by -a) Microangiopathic haemolytic anaemiab) ↓ed LDHc) Thrombocytopeniad) Renal failuree) Positive Coomb's test
1. abc
2. ad
3. acd
4. bde

Correct answer: 3. acd

Explanation: Hemolytic uremic syndrome

Hemolytic uremic syndrome is characterized by the triad of :


Anemia (microangiopathic hemolytic anemia).
Renal failure (microangiopathy of kidney involving glomerular capillaries and arterioles).
Thrombocytopenia (due to platelet consumption).


Hemolytic uremic syndrome is most common is children under 2 years of age.
It usually follows an episode of acute gastroenterities, often triggered by E coli.
The prodrome is usually of abdominal pain, diarrhoea and vomiting.
Shortly thereafter, signs and symptoms of acute hemolytic anemia, thrombocytopenia and acute renal failure ensue.
Sometimes neurological findings also occur. (But usually absent and differentiate HUS from TTP.)
Rarely HUS may follow respiratory tract infection.
Etiology
Gastrointestinal infection in infants with the following organism :
E coli, Shigella dysenteriae, Streptococouus pneumoniae 
Hematological findings in a case of microangiopathic hemolytic anemia :
Presence of schistocytes (fragmented red cells). This is the hallmark of microangiopathic hemolytic anemia.
Neutrophil leukocytosis.
Thrombocytopenia.
Hemoglobinuria is mild to moderate with hemosiderinuria.
Blood urea and serum creatinine
Elevated serum LDH